Loss of lateral 1/3rd' of eyebrow is seen in -
1. Lepromatous leprosy
2. Taenia capitis
3. Tuberculosis
4. Tetanus

Correct answer: 1. Lepromatous leprosy

Explanation: Lepramatous leprosy is characterised by widespread nodules & infiltration ,with loss of lateral one third of eyebrows (madarosis). It is a immune complex(type 2) reaction. Nerve involvement will be late. Loss of sensation will be late. Reference Harrison20th edition pg 1054